In which of the following form the Anti diuretic hormone (ADH) is circulated in plasma :
1. Bound to neurophysin-I
2. Bound to neurophysin-II
3. Bound to plasma albumin
4. Free form

Correct answer: 4. Free form

Explanation: D i.e. Free form